Masturbation is also known as?
1. Onanism
2. Satyriasis
3. Autierection
4. All of the above

Correct answer: 1. Onanism

Explanation: Ans. A. OnanismSynonyms of masturbation are : Beat offMastuprate Frigging (taboo , slang)Fap Skeet OnanismFrig Toss off AutoeroticismJack off Whack off Flying soloJerk off Self-abuse Beating the meatPlay pocket poolWanking (taboo , slang)